Judet and Lectournal classification is used for
1. Supracondylar Humerus fracture
2. Acetabulum fracture
3. Shaft femur fracture
4. Patella fracture

Correct answer: 2. Acetabulum fracture